Normal residual volume is ?
1. 500 ml
2. 12 00 ml
3. 3000 ml
4. 2400 ml

Correct answer: 2. 12 00 ml

Explanation: Ans. is'b'i.e., 1200 ml(Ref: Ganong 24e/e p.629)